Most common poisonous salt of mercury is -
1. Chloride
2. Nitrate
3. Sulfide
4. Iodide

Correct answer: 1. Chloride

Explanation: inorganic compounds of mercury Mercuric oxide Mercuric chloride Mercuric iodide Mercuric cyanide Mercuric nitrate Mercuric sulphide Mercuric sulphate Mercurous chloride Mercurous nitrate REF;THE SYNOPSIS OF FORENSIC MEDICINE:KS NARAYANA REDDY;28th EDITION;PAGE NO 306